Hard chancre is seen in
1. Chancroid
2. Syphilis
3. Tularemia
4. All

Correct answer: 2. Syphilis

Explanation: PRIMARY SYPHILIS:- Primary chancre is a single,well circumscribed,painless ulcer with a clean floor and hard,indurated base on palpation. Hence it is called hard chancre. Occurs in genitals,perineal/perianal areas. Kissing ulcers can occur on the urethral meatus and coronal sulcus. An ulcer at the hilt of the shaft is called condom chancre. Extragenital sites include rectum , lips,oral mucosa, face, breasts etc.. Treatment- benzyl penicillin injection 2.4 million units i.m 1 dose. Or Inj. Procaine penicillin 12 lakh units i.m for 10 days. If allergic to penicillin- use doxycycline. {Reference: IADVL textbook of dermatology, vishalakshi Vishwanath pg no.126.}